Most important sensory organ in the ampulla is:
1. Organ of corti
2. Macula
3. Otolith
4. Crista

Correct answer: 4. Crista

Explanation: Ans:D (Crista) Ref: Pal GK. Vestibular apparatus. In: Textbook of medical physiology. Abuja publishing house. 2007: 116: 886-88.Explanation:Receptor structureReceptor organDetected stimuliOtolith organs SacculeMacuiaGravitation & linear accelerationUtricleMaculaGravitation & linear accelerationSemicircular canals Horizontal canalAmpullaRotational accelerationAnterior canalAmpullaRotational accelerationPosterior canalAmpullaRotational accelerationNote:Macula - Sensory epithelium in saccule and utricle which contain hair cellsOtolith (or) otoconia - calcium carbonate crystals in otolith membraneEach ampulla contains Crista ampularis in which hair cells are located. These hair cells are embedded in a gelatinous mass cupula' (which does not contain otoliths)Organ of corti - loeaed in middle ear; involved in audition